Catgut is preserved in
1. Glutraldehyde
2. Isopropyle alcohol
3. Iodine
4. Cetrimide

Correct answer: 2. Isopropyle alcohol

Explanation: The catgut suture is supplied sterile in "pre-cut" lengths or non-needled or attached to various needle in packing fluid containing: o 90% Isopropyl Alcohol, o 0.5% Sodium Benzoate, o 0.5% Diethylethanolamine and o water q.s. ad 100%.